Sarcoma Botyroides is mostly seen in :
1. Neonates
2. Children under 2 years
3. Adults
4. Postmenopausal

Correct answer: 2. Children under 2 years

Explanation: Children under 2 years